Which of the following anaemias is a risk factor for the development of gastric carcinoma -
1. Pernicious anaemia
2. Megaloblastic anaemia
3. Aplastic anaemia
4. Haemolytic anaemia

Correct answer: 1. Pernicious anaemia